Water intoxication occurs in all of the following except
1. TURP syndrome
2. Enema for colonic wash
3. Gastric lavage
4. Heroin Abuse

Correct answer: 4. Heroin Abuse

Explanation: Answer- D. Heroin AbuseTransurethral Resection of Prostate (TURP) SyndromeEnemaGastric lavageSyndrome of Inappropriate ADH Secretion (SIADH)Ecstasy (MDMA) or Amphetamine useIntravenous Infusion of Hypotonic FluidsBeer PotomaniaPsychogenic PolydipsiaAttempt to Hide Drug Abuse